Which of the following is false about watermelon stomach
1. Watermelon stomach is more common in females
2. Causes upper GI bleeding
3. Treatment is argon photocoagulation
4. Dilated veins present in the fundus.

Correct answer: 4. Dilated veins present in the fundus.

Explanation: Dilated veins and capillaries are present in the antrum